All of the following are causes of obesity except
1. Hypothyroidism
2. Growth hormone excess
3. Cushing syndrome
4. Intake of corticosteroids

Correct answer: 2. Growth hormone excess

Explanation: Growth hormone deficiency causes obesity not growth harmone excess.